Which of the following drug can cause hyperprolactinemia?
1. Olanzapine
2. Ziprasidone
3. Risperidone
4. Asenapine

Correct answer: 3. Risperidone

Explanation: All atypical antipsychotics has lesser chance of causing endocrine side effects like hyperprolactinemia except Risperidone.